Coagulation defect associated with increased coagulation are seen in
1. Increased protein C
2. Increased protein S
3. Increased anti thrombin 3
4. Protein C resistance

Correct answer: 4. Protein C resistance

Explanation: Ref Harrison 16/e p1491 ,9/e p123 Protein C and protein S are two vitamin K-dependent proteins that act in a complex to proteolytically inacti- vate cofactors Va and VIIIa. Protein C activation by thrombomodulin was described earlier; protein S is a cofactor for protein C activity Resistance to activated protein C due to the factor V R506Q (Leiden) mutation is the most common clotting abnormality in patients with venous thromboembolism